Which of the following vitamin deficiency causes Wernicke Korsakoff syndrome?
1. Thiamin
2. Riboflavin
3. Niacin
4. Cobalamin

Correct answer: 1. Thiamin

Explanation: Vitamin Functions Deficiency Disease B1 Coenzyme in pyruvate and a-ketoglutarate dehydrogenases, and transketolase Regulates Cl- channel in nerve conduction Peripheral nerve damage (beriberi) or central nervous system lesions (Wernicke Korsakoff syndrome) Reference: Harper; 30th edition; Page no: 550